In which of the following thyroid malignancy, size of primary lesion has more impact on prognosis than lymph node metastasis:
1. Papillary carcinoma
2. Follicular carcinoma
3. Medullary carcinoma
4. Anaplastic carcinoma

Correct answer: 1. Papillary carcinoma